Cock up splint is used for which nerve injury?
1. Median nerve
2. Ulnar nerve
3. Radial nerve
4. Brachial plexus

Correct answer: 3. Radial nerve

Explanation: High radial nerve injury - brachioradialis paralyzed+ wrist drop + finger drop + sensory loss Low radial nerve injury - wrist drop + finger drop + sensory loss ( brachioradialis is spared) PIN injury - finger drop + sensory loss Superficial - sensory loss -Splints used in other nerve injuries : Brachial plexus injury- Aeroplane splint Ulnar nerve > Median nerve- Knuckle bender splint